Righting reflex is a
1. Cochlear reflex
2. Spinal reflex
3. Vistibular reflex
4. None of the above

Correct answer: 3. Vistibular reflex

Explanation: Righting reflex is a series of responses integrated for the most part in the nuclei of the midbrain. The stimulus for the reflex is tilting of the head, which stimulates the otolithic organs; the response is compensatory contraction of the neck muscles to keep the head level. In humans, the operation of these reflexes maintains the head in a stable position and the eyes fixed on visual targets despite movements of the body and the jerks and jolts of everyday life. The responses are initiated by vestibular stimulation, stretching of neck muscles, and movement of visual images on the retina, and the responses are the vestibulo-ocular reflex and other remarkably precise reflex contractions of the neck and extraocular muscles.Ref: Ganong's Review of Medical Physiology, Twenty-Third Edition.